Policeman’s tip hand is seen in
1. Erb's palsy
2. Klumpke’s paralysis
3. Axillary nerve injury
4. None of the above

Correct answer: 1. Erb's palsy

Explanation: ERB'S PARALYSIS:-
upper plexus injury.
Caused by forceful widening of the angle between the head and shoulder which may occur by traction of arm during the birth of a child or by fall on the shoulder.
Involves upper trunk - C5, C6 roots.
Leads to typical deformity in the limb- policeman's tip hand/ porter's tip hand. The arm hangs by the side, adducted and medially rotated, forearm is extended and pronated.
1. Adduction of arm due to deltoid paralysis.
2. Medial rotation of arm-paralysis of supraspinatus, infraspinatus and teres minor.
3. Extension of elbow- paralysis of biceps brachii
4. Pronation of forearm- paralysis of biceps brachi
5. Loss of sensation over outer aspect of arm due to C6 spinal nerve involvement.